A patient with amenorrhea had bleeding after giving a trial of progesterone. This implies :
1. Sufficient estrogen
2. Intact pituitary axis
3. Normal ovarian function and Intact endometrium both
4. All

Correct answer: 4. All

Explanation: Ans. is a, b and c i.e. Sufficient estrogen; Normal ovarian function; Intact endometrium; and Intact pituitary axis Note : Friends it is quite difficult to understand the above chart in one go, you will have to go through it 3 - 4 times to understand it well. Also revise the various compartments of menstruation from Q.No. 3 for better and complete understanding.